Which type of injury causes more damage to the semi-lunar cartilage in the knee -
1. Flexion and extension at the ankle
2. Rotation on a flexed knee
3. Rotation on an extended knee
4. Squatting position

Correct answer: 2. Rotation on a flexed knee

Explanation: Injuries of the menisci (semilunar cartilages) are common in men under the age of 45 years.
A tear is usually caused by a twisting force with the knee setniflexed or flexed.